Which of the following is the most recognised symptom of alcohol withdrawal?
1. Bodyache
2. Tremor
3. Diarrhoea
4. Rhinorrhea

Correct answer: 2. Tremor

Explanation: Alcoholic tremulousness is perhaps the most common form of withdrawal, and also the most easily recognized. Ref: Kaplan & Sadock's Synopsis of Psychiatry 9th Edition, Page 403-405; A Short Textbook of Psychiatry by Neeraj Ahuja 5 Edition, Page 40 ; Current Diagnosis & Treatment in Psychiatry, Page 240-259; Avoiding Common Errors in the Emergency Department By Amal Mattu, Arjun S. Chanmugam, Carrie D. Tibbles, 2010, Page 724.